Mycosis cells are altered :
1. T Lymphocytes
2. Monocytes
3. b lymphocytes
4. Eosinophils

Correct answer: 1. T Lymphocytes

Explanation: A. i.e. T lymphacytis